Torrential bleed during tonsillectomy is due to ?
1. Facial artery
2. Tonsilar artery
3. Paratonsillar vein
4. None

Correct answer: 3. Paratonsillar vein

Explanation: Ans. is 'c' i.e., Paratonsillar vein "Excessive bleeding at the time of operation usually arises because of trauma to an aberrant vessel or paratonsillar vein". Complications of tonsillectomy Complications of tonsillectomy may be :- i) Immediate ii) Delayed Immediate complications 1) Primary haemorrhage Occurs at the time of operation. It can be controlled by pressure, ligation or electrocoagulation of the bleeding vessels. 2) Reactionary haemorrhage : Occurs within a period of 24 hours. 3) Injury to tonsillar pillars, uvula, soft palate, tongue or superior constrictor muscle due to bad surgical technique. 4) Injury to teeth. 5) Aspiration of blood. 6) Facial oedema : Some patients get oedema of the face particularly of the eyelids. 7) Surgical emphysema Dalaved complications 1) Seconclaty haemorrhage : Usually seen between the 5th to 10th post-operative day. It is the result of sepsis and premature separation of the membrane. Usually, it is heralded by bloodstained sputum but may be profuse. 2) Infection : Infection of tonsillar fossa may lead to parapharyngeal abscess or otitis media. 3) Lung complications : Aspiration of blood, mucus or tissue fragments may cause atelectasis or lung abscess. 4) Scarring in soft palate and pillars. 5) Tonsillar remnants : Tonsil tags or tissue, left due to inadequate surgery, may get repeatedly infected. 6) Hypertrophy of lingual tonsil : This is a late complication and is compensatory to loss of palatine tonsils.